Infectious mononucleosis is confirmed by
1. Blood smear
2. Monospot test
3. Frei’s test
4. Hess test

Correct answer: 2. Monospot test

Explanation: Monospot test is also known as Paul Bunnel test.